Terrible triad of O'Douoghue include:
1. ACL + LCL + PLC
2. ACL + PLC + PCL
3. ACL + MCL + PLC
4. ACL + MCL + medial meniscus tear

Correct answer: 4. ACL + MCL + medial meniscus tear

Explanation: Ans. dOption aFalseNot correctOption bFalseNot correctOption cFalseNot correctOption dTrueYes correctOption eFalseNot correctThe unhappy triad of O'Donoghue described the injuries as:1. Anterior cruciate ligament (ACL) tear2. Medial collateral ligament (MCL) tear/sprain3. Medial meniscal tear (lateral compartment bone bruise)Usually associated with sports injury as lateral force applied on a fixed foot.